Glaukomflecken is
1. Acute uveitis due to glaucoma
2. Lens opacity due to glaucoma
3. Retinal detachment due to glaucoma
4. Corneal opacity due to glaucoma

Correct answer: 2. Lens opacity due to glaucoma

Explanation: Acute congestive angle closure may cause small anterior grey-white subcapsular or capsular opacities, glaukomflecken to form within the pupillary area. These represent focal infarcts of the lens epithelium and are almost pathognomonic of prior acute angle-closure glaucoma. Ref: kanski's clinical ophthalmology, 8th edition , page no. 273